Infantile nucleus of the crystalline lens refers to the nucleus developed from:
1. 3 months of gestation to till birth
2. Birth to one year of age
3. Birth to puberty
4. One year of age to 3 years of age

Correct answer: 3. Birth to puberty

Explanation: Ans. Birth to puberty